Left-Right movement of skull occurs at:
1. Atlanto-occipital joint
2. Atlanto-axial joint
3. C2-C3
4. C6-C7

Correct answer: 2. Atlanto-axial joint

Explanation: (b) Atlanto-axial jointYes movement occurs at atlanto-occipital joint and No movement occurs at atlanto-axial joint.